Stain with parasite having Charcot-Leyden crystals but no pus cells-
1. Giardia
2. Taenia
3. E. histolytica
4. Trichomonas

Correct answer: 3. E. histolytica

Explanation: Fecal finding in amoebiasis are:-


Positive test for heme.
Paucity (lack) of neutrophils (pus cells).
Presence of amoebic cysts or trophozoites
Charcot-Leyden crystals.

Remember
Charcot Leyden crystals are seen in

E. histolytica
Whipworm (Trichuris)
Ascaris pneumonia
Bronchial asthma